The severity of mitral regurgitation is decided by all of the following clinical findings except:
1. Presence of mid- diastolic murmur across mitral valve.
2. Wide split second heart sound.
3. Presence of left ventricular S3 gallop.
4. Intensity of systolic murmur across mitral valve

Correct answer: 4. Intensity of systolic murmur across mitral valve

Explanation: Ans. is 'd' i.e. intensity of systolic murmur across mitral valve "There is little correlation between intensity of systolic murmur and severity of MR." - BraunwaldFollowing features suggest severe mitral regurgitation.Following features suggest severe mitral regurgitationWide splitting of S2A low pitched S3Soft SIMid-diastolic murmur across mitral valve.Presence of pulmonary arterial hypertension.For option 'a'Braunwald states "A short low pitched diastolic murmur following S3 may be audible in patients with severe MR, even without an accompanying MS."Let's see the pathophysiology of Mitral Regurgitation